Leukotrienes inhibitors are very effective in which one of the following conditions-
1. Exercise induced asthma
2. Antigen induced asthma
3. Aspirin induced asthma
4. Occupational asthma

Correct answer: 3. Aspirin induced asthma

Explanation: Ans. is 'c' i.e., Aspirin induced asthma o Leukotrienes antagonists are effective in aspirin induced asthma.